A patient with pCO2 80 mm Hg and plasma bicarbonate 33 mEq/L is having-
1. Metabolic acidosis
2. Respiratory acidosis
3. Respiratory alkalosis
4. Excessive renal bicarbonate loss

Correct answer: 2. Respiratory acidosis

Explanation: Respiratory acidosis is an acid-base balance disturbance due to alveolar hypoventilation. ... Lung diseases that cause abnormalities in alveolar gas exchange do not typically result in alveolar hypoventilation. Often these diseases stimulate ventilation and hypocapnia due to reflex receptors and hypoxia Ref Davidson 23rd edition pg 367